Term parafunctional was first suggested by
1. Karolyl
2. Weskit
3. Tischer
4. Drum

Correct answer: 4. Drum

Explanation: Bruxism synonym:
Neuralgial traumatic (Karolyl)
Karolyi effect (Weskit)
Occlusal habit neurosis (Tischer)
Parafunctional occlusal habit (Drum)
According to Ramjford and Ash, BRUXISM is triggered by: Emotional tensions, Occlusal maladjustment, Pain / discomfort.